Deoxygenated blood from the fetus to the mother is via:
1. Umbilical artery
2. Umbilical veins
3. Pulmonary artery
4. Pulmonary vein

Correct answer: 1. Umbilical artery

Explanation: 13Ans. (a) Umbilical arteryRef: D. C Dutta 8th ed./ 36* Deoxygenated blood from fetus to mother is via umbilical artery.* Oxygenated blood is via umbilical vein.